Duke's criteria is used for evaluation of?
1. CHF
2. Severity of aortic stenosis
3. Chronic Stable Angina
4. Infective endocarditis

Correct answer: 4. Infective endocarditis

Explanation: Duke's criteria =Infective endocarditis Duke's score= severity of chronic stable angina Duke staging= Colorectal CA